Maxillary prominence develops in
1. 1st pharyngeal arch
2. 1st pharyngeal groove
3. 1st pharyngeal pouch
4. 1st pharyngeal membrane

Correct answer: 1. 1st pharyngeal arch